Which of the following is the most important effector pathway for action of Nitric Oxide:
1. Adenylate cyclase pathway
2. Phosphatidylinositol pathway
3. Guanylate cyclase pathway
4. MAP Kinase pathway

Correct answer: 3. Guanylate cyclase pathway

Explanation: The most important effector pathway for NO is activation of the soluble form of guanylyl cyclase. Soluble guanylate cyclase (sGC) catalyses the conversion of guanosine 5'-triphosphate (GTP) to cyclic guanosine 3&;5'-monophosphate (cGMP) Ref: Harper